True regarding use of bromocriptine for suppression of lactation includes:
1. It can cause deep vein thrombosis
2. It can cause hypotension
3. Metoclopramide potentiates the action of bromocriptine
4. It is given for 1 week only

Correct answer: 2. It can cause hypotension

Explanation: Ans. (B) It can cause hypotension(Ref: KDT 8/e p261)For suppression of lactation, D2 agonists like bromocriptine can be used. In hyperprolactinemia, these are given for long periods.Metoclopramide being a D2 antagonist will stop the action of bromocriptine.Adverse effects of bromocriptine include nausea vomiting, postural hypotension, digital vasospasm and CNS effects like hallucinations, psychosis etc.